The earliest change noticed in hypertensive retinopathy is:
1. Soft exudate
2. Arteriolar spasm
3. Venospasm
4. Hard exudate

Correct answer: 2. Arteriolar spasm

Explanation: Ans. Arteriolar spasm